Tober Ayer test is positive in:
1. Lateral sinus thrombosis
2. Petrositis
3. Cerebral abscess
4. Subarachnoid hemorrhage

Correct answer: 1. Lateral sinus thrombosis

Explanation: The Tobey-Ayer test is used for lateral sinus thrombosis by monitoring cerebrospinal fluid pressure during a lumbar puncture.